A young woman complains of a red eye and associated pain above the eye. The patient's mother has chronic open-angle glaucoma and the patient wants to know whether she has the same thing. The patient describes several bouts of having a red, painful, eye that is relieved by sleeping.Examination reveals irregular pupil. This would be more consistent with which of the following?
1. Iridocyclitis
2. Conjunctivitis
3. Keratitis sicca
4. Chronic open-angle glaucoma

Correct answer: 1. Iridocyclitis

Explanation: Iridocyclitis - Iridocyclitis can have an irregular pupil, pain and redness.- Anterior surface problems like conjunctivitis and keratitis sicca (dry eyes) should not result in an irregular pupil.- Chronic open-angle glaucoma does not present with a red, inflamed eye. It does not give an irregular pupil.